Extra articular manifestation of rheumatoid arthritis is:
1. Av fistula
2. Cutaneous hypomelanosis
3. Splenic atrophy
4. Subcutaneous nodules

Correct answer: 4. Subcutaneous nodules

Explanation: Ans: d (Subcutaneous nodules)Ref: Harrison, 18 ed. pg. 2087* As many as 40% of people may show extra articular manifestations* Usually occur in individuals with high R F positivity of high ACCP.* Rheumatoid nodules seen in upto 20-30% individuals with RA.* Usually periarticular or extensor aspect but can be seen anywhere.Extra articular manifestations in RARespiratoryGastrointestinalPleral effusion with low sugarXerostomiaPneumothoraxParotid enlargementRheumatoid nodule(Kaplan syndrome)DysphagiaInterstitial fibrosisMesentric artery' occlusionPneumoniaRenalPulmonary hypertensionPyelonephritisAnalgesic nephropathyCardiacPericarditis/endocarditisCard iomyopathyMyoca rd ial infarctionAmyloidosisOcularEpisc leritis/scleri tisKerato conjunctivitis siccaConduction defects/cardiac arrhythmiasMitrsl/ aortic incompetenceScleromalacia perforans EarDefective hearing-Ossicular chain involvementNervous systemAtlantoaxial subluxation(Quad ri paresis) Peripheral neuropathyAutonoimic neuropathyMononeuritis multiplexEntrapment neuropathyPyoderma gangrenosumSkinDermal atrophyLeg ulcers/nodules BonesPeriarticular osteoporosis